Hyaloid artery starts to regress at
1. Birth
2. 3 - 4 months of period of gestation
3. 6 - 7 months of period of gestation
4. 2 - 3 weeks after birth

Correct answer: 2. 3 - 4 months of period of gestation

Explanation: Hyaloid artery starts to regress at 3 - 4 months of period of gestation.